Sumoylation of histones proteins is associated with
1. Activation of gene transcription
2. Condensation of chromosome
3. Transcription repression
4. Inactivation of gene transcription

Correct answer: 3. Transcription repression

Explanation: Sumoylation of histones is associated with Transcription repression Histone post-translational modifications & their role: Post-translational modifications Role Acetylation of histones H3 and H4 Activation or inactivation of gene transcription Acetylation of core histones Chromosomal assembly during DNA replication Phosphorylation of histone H1 Condensation of chromosomes during the replication cycle ADP-ribosylation of histone DNA repair Methylation of histone Activation and repression of gene transcription Mono-ubiquitylation Gene activation, repression, and heterochromatic gene silencing Sumoylation of histones Transcription repression